Only ligament limiting extension of the vertebral column is-
1. Anterior longitudinal ligament
2. Posterior longitudinal ligament
3. Supraspinous ligament
4. Ligamentum Flavum

Correct answer: 1. Anterior longitudinal ligament

Explanation: Ans. is 'a' i.e., Anterior longitudinal ligament * The anterior longitudinal ligament is present anterior to the bodies of the vertebrae and prevents excessive extension of the vertebral column. Anterior atlanto-occipital ligament is considered as continuation of anterior longitudinal ligament.